The inferior cerebellar peduncle has all the following tracts except :
1. Vestibulo cerebellar
2. Olive cerebellar
3. Spino cerebellar
4. Ponto cerebellar

Correct answer: 4. Ponto cerebellar

Explanation: D i.e. Pontocerebellar